Hernia with highest rate of strangulation is?
1. Direct inguinal hernia
2. Indirect inguinal hernia
3. Femoral hernia
4. Incisional hernia

Correct answer: 3. Femoral hernia

Explanation: Femoral hernia REF: Sabiston 18th ed chapter 44 The likelihood of strangulation and need for hospitalization also increase with aging. Strangulation, the most common serious complication of a hernia, occurs in only 1% to 3% of groin hernias and is more common at the extremes of life. Most strangulated hernias are indirect inguinal hernias; however, femoral hernias have the highest rate of strangulation (15%-20%) of all hernias, and for this reason, it is recommended that all femoral hernias be repaired at the time of discovery.